Which one of the following statements is false regarding chronic granulomatous disease?
1. It is an autosomal dominant disease
2. It is characterized by abnormal bacterial phagocytosis
3. Recurrent staphylococcal infections are usual in this disease
4. Nitro blue tetrazolium test is useful for screening

Correct answer: 1. It is an autosomal dominant disease

Explanation: Inherited defects in microbicidal activity: The importance of oxygen-dependent bactericidal mechanisms is shown by the existence of a group of congenital disorders called chronic granulomatous disease, which is characterized by defects in bacterial killing and render patients susceptible to recurrent bacterial infection. Chronic granulomatous disease results from inherited defects in the genes encoding components of phagocyte oxidase, which generates superoxide (O2* -). The most common variants are an X-linked defect in one of the membrane-bound components (gp91phox) and autosomal recessive defects in the genes encoding two of the cytoplasmic components (p47phox and p67phox). The name of this disease comes from the macrophage-rich chronic inflammatory reaction that tries to control the infection when the initial neutrophil defence is inadequate. This often leads to collections of activated macrophages that wall off the microbes, forming granulomas. Reference: Robbins and Cotran Pathologic Basis of Disease; 9th edition; page 238 Chapter 6; Diseases of the Immune System